First Sign of pubertal development in boy is -
1. Enlargement of penis
2. Enlargement of testes
3. Appearance of pubic hair
4. Appearance of axillary' hair

Correct answer: 2. Enlargement of testes

Explanation: Ans. is 'b' i.e., Enlargement of testis o In male - Sequence of change1. Growth of testes (> 3 ml in volume or & thinning of scrotum 2 5 cm in longest diameter)2 Pigmentation of scrotum & growth of penisPubic hairAxillary hairo In female -1. Breast bud - First sign2 Pubic hair3. Menarche